Which of the following is the most important interaction in the formation of cell membrane lipid bilayer and in lipid-protein interaction?
1. Hydrophobic interactions
2. Both hydrophobic and convalent interactions
3. Covalent bonds
4. Hydrogen bonds

Correct answer: 1. Hydrophobic interactions

Explanation: Interactions in the cell membrane.
-        Hydrophobic (most important)–

Between lipids- Information of lipid bilayer​
Transmembrane proteins and lipids

-        Van der walls interaction

Between lipids- Information of lipid bilayer​
Transmembrane proteins and lipids

-        Electrostatic bonds

Between transmembrane and peripheral proteins

-        Hydrogen bonds

Between transmembrane and peripheral proteins

-        Covalent bond (least important)

Peripheral protein with the hydrophilic end of phospholipid